A patient presents with increased serum ferritin, decreased TIBC, increased serum iron, % saturation increased. Most probable diagnosis is -
1. Anemia of chronic disease
2. Sideroblastic anemia
3. Iron deficiency anemia
4. Thalassemia minor

Correct answer: 2. Sideroblastic anemia